Which of the following laser is most commonly used in laryngeal surgery
1. CO2 Laser
2. Nd YAG laser
3. Argon Laser
4. KTP Laser

Correct answer: 1. CO2 Laser

Explanation: Treatment consists of: 1. Radiotherapy 2. Surgery (a) Conservation laryngeal surgery (b) Total laryngectomy 3. Combined therapy. Surgery with pre- or postoperative radiotherapy 4. Endoscopic CO2 laser excision Ref: PL Dhingra; Textbook of EAR, NOSE and THROAT; edition 7; page no 351